All of the following drugs are used to prevent relapse after alcohol de-addiction except -
1. Acamprosate
2. Disulfiram
3. Naltrexone
4. Fluoxetine

Correct answer: 4. Fluoxetine

Explanation: Ans. is 'd' i.e., Fluoxetine Drugs used for alcohol dependence to prevent relapse are: a Naltrexane o Acamprosate o Ondansetron o Nalmefene o Disulfiram o Topiramate